Two internal cerebral veins fuse to form -
1. Middle cerebral vein
2. Anterior cerebral vein
3. Great cerebral vein
4. Inferior cerebral vein

Correct answer: 3. Great cerebral vein

Explanation: Ans. is 'c' i.e., Great cerebral vein VENOIS DRAIN AG OF CEREBRAL HAMESPHERESuperficial veins of the cerebral hemispheresSuperior cerebral veins drain blood from the superolateral and medial surface of the cerebral hemispheres into the superior sagittal sinus.Superficial middle cerebral veino It runs along the posterior ramus and stem of lateral sulcus.o It drains blood from superolateral surface of the cerebral hemisphere into the caveronus sinus,o It communicates with the superior sagittal and transverse sinus through vein of Trolard and vien of Labbe repectively.Deep veins of the cerebral hemispheresInternal cerebral veins (two): They are formed by the union of thalamostriate and choroid veins. Tributaries :Thalamostriate veinChoroid veinSeptal veinEpithalamic veinLateral ventricular veinBasal veins (two) : They are formed by the union of:Anterior cerebral veinDeep middle cerebral veinStriate veinGreat cerebral vein of GaleneIt is formed by the union of two internal cerebral veins, is 2 cm long and drains into the straight sinus.Internal cerebral veinsBasal veinsOccipital veinsPosterior callosal vein